All except one are true about spinothalamic tract
1. Spinothalamic tract relays in ventral posterolateral nucleus of thalamus
2. Lateral Spinothalamic tract forms spinal lemniscus
3. Lateral spinothalamic tract joins medial lemniscus
4. Lateral spinothalamic tract carries sensations of pain and temperature, anterior spinothalamic tract carries sensations of crude touch and pressure

Correct answer: 3. Lateral spinothalamic tract joins medial lemniscus

Explanation: Anterior spinothalamic tract joins medial lemniscus.